The drug of choice for the treatment of gonorrhoea in a pregnant patient allergic to beta-lactum antibiotics is -
1. Piperacillin
2. Ceftiiaxone
3. Spectinomycin
4. Ciprofloxacin

Correct answer: 3. Spectinomycin